Glipizide, the oral hypoglycaemic drug acts by ?
1. Improving insulin resistance
2. Inhibiting brush border enzyme
3. Helps in insulin secretion
4. Increased glucose uptake by fat cells

Correct answer: 3. Helps in insulin secretion

Explanation: Ans. is 'c' i.e., Helps in insulin secretion